Which of the following is not a diarthrosis -
1. Elbow joint
2. Interphalangeal joint
3. Skull sutures
4. Hip joint

Correct answer: 3. Skull sutures

Explanation: Ans. is 'c' i.e., Skull sutures Functional classification of joints (movement)o Joints can also be classified functionally according to the type and degree of movement they allow:Synarthrosis - Permits little or no mobility. Most synarthrosis joints are fibrous joints (e.g., skull sutures).Amphiarthrosis - Permits slight mobility. Most amphiarthrosis joints are cartilaginous joints (e.g., intervertebral discs).Diarthrosis - Freely movable. All diarthrosis joints are synovial joints (e.g., shoulder, hip, elbow, knee, etc.), and the terms "diarthrosis" and "synovial joint" are considered equivalent by Terminologia Anatomica